16 F foleys is used in -
1. Acute urinary retention
2. CA penis
3. Pyonephrosis
4. None

Correct answer: 1. Acute urinary retention

Explanation: Ans. is 'a' i.e., Acute urinary retention * "Catheterization is mandatory for acute urinary retention. Spontaneous voiding may return, but a catheter should be left indwelling for 3 days while detrusor tone returns."- CSDT 13/e* 16F and 18F foleys are mainly used for adults* 8F and 10F are mainly used for children* Acute urinary retention is an indication for catheterization